Treatment of hydatiform mole is -
1. Chemotherapy only
2. Hysterectomy & chemotherapy
3. Only hysterectomy
4. Suction & evacuation

Correct answer: 4. Suction & evacuation

Explanation: Ans. is 'd' i.e., Suction and Evacuation Managem_entof Hydatid.iform mole:o Suction evacuation (SE) is the prefered method of treatment. It is safe, rapid and effective in almost all cases. Suction evacuation can safely be done even when the uterus is of 28 weeks of gestation.